In which of the following, parallel and uniform spaced collagen is present?
1. Diaphragms
2. Cornea
3. Basement membrane
4. Tympanic membrane

Correct answer: 2. Cornea

Explanation: Corneal stroma : a thick, transparent middle layer, consisting of regularly arranged collagen fibers along with sparsely distributed interconnected keratocytes, Inderbir Singh's human Histology Seventh edition Pg 391